Not true about CPR?
1. Chest compressions at 100/min
2. Ratio 30:2
3. Chest compression > 6 inches
4. Breathing rate 8-10 breaths/min

Correct answer: 3. Chest compression > 6 inches

Explanation: Ans is 'c' i.e. Chest compressions > 6 inches Management guidelines for CPR * The management of CPR should be done in following sequence: - A (Airway) - B (Breathing) - C (Circulation) - D (Defibrillation).* Management is divided into following parts: -A) Basic life support (Primary ABCD)# Basic life support (BLS) involves early recognition of medical emergencies, activation of an emergency response system, and interventions made in response to sudden cardiac arrest, heart attack, stroke and airway obstruction by a foreign body. ABCD of BLS are: -i) Airway management: - Most common cause of airway obstruction is tongue fall, i.e., tongue falling back on posterior pharyngeal wall and obstructing the airway. In BLS, this airway obstruction is managed manually: -a) Open mouth and clear airway if something is visible in oral cavity.b) Tilt the head backward (neck extension) and chin lift -> Head tilt and chin lift.c) Jaw thrust: - Mandible is pulled forward.# Note: In patient with cervical spine injury head tilt & chin lift is contraindicated and airway should be managed only by jaw thrust.ii) Breathing (ventilation): - After management of airway obstruction ventilation is provided. In BLS ventilation is provided by mouth to mouth or mouth to nose or bag and mask ventilation.iii) Circulation: - Circulation is maintained by cardiac massage. It is done in supine position and compression over lower l/3rd of sternum is given by heel of two hands one locked over the other. The force generated during massage should be able to depress the sternum by 1 1/2 -2 inches (approximately 1/3 of chest wall diameter). The ratio of compression to ventilation is 30:2(30 compressions followed by 2 breaths) irrespective of durationiv) Defibrillation: - Defibrillation is done by manual defibrillatorB) Advanced life support (secondary ABCD)# Advanced airway support involves more advanced assessment and treatment. ABCD of advanced life support are: -i) Airway management: - Airway management is done by equipments like GuedeVs airway.ii) Breathing (ventilation): - Most definitive and best method of ventilation is endotracheal intubation. Other methods are LMA or tracheostomy. In severe maxillofacial injuries orotracheal intubation should be tried first, if orotracheal intubation is very difficult cricothyrotomy or tracheostomy can be used but only as a last resort.iii) Circulation: - Circulation is maintained by cardiac massage. Compression will be continued at a rate of 100 compressions!minute and breathing at a rate of 8-10 breaths/minute with no synchronization, i.e., no pause for ventilation.iv) Defibrillation : - Defibrillation is done by manual defibrillator.